Smell of sweaty feet is seen in:
1. MSUD
2. Phenyl ketonuria
3. Homocystinuria
4. Glutaric acidemia

Correct answer: 4. Glutaric acidemia

Explanation: Ans. D. Glutaric AcidemiaPeculiar odours in different Amino aciduriasInborn Error of MetabolismUrine OdorGlutaric acidemia (type II)Sweaty feet, acridHawkinsinuriaSwimming PoolIsovaleric AcidemiaSweaty feet, Acrid3-Hydroxy-3- methylglutaric acid uriaCat urineMaple syrup urine diseaseMaple syrupHypermethioninemiaBoiled cabbageMultiple carboxylase deficiencyTomcat urineOasthouse urine diseaseHops-likePhenylketonuriaMousey or mustyTrimethylaminuriaRotting fishTyrosinemiaBoiled cabbage, rancid butter